The major venous return of the heart, the coronary sinus, empties into
1. IVC
2. Left atrium
3. Right atrium
4. Right ventricle

Correct answer: 3. Right atrium

Explanation: The coronary sinus empties directly into the right atrium (like IVC, SVC) near the conjunction of the posterior interventricular sulcus and the coronary sulcus.Reference: Chaurasia; 6th edition